The diameter of Type C fibers is
1. 13-20mm
2. 4-13mm
3. 3-6mm
4. 0.5-2mm

Correct answer: 4. 0.5-2mm

Explanation: Unmyelinated fibers carrying pain, itch, temperature, and crude touch sensations (0.5 to 2 micrometers in diameter; they are type C fibers in the generalclassification).Ref: Guyton; 13th edition; Chapter 47 Sensory Receptors, Neuronal Circuits for Processing Information